All of the following cause macrocytic anaemia,except -
1. Primaquine
2. Methotrexate
3. Trimethoprin
4. Azathioprine

Correct answer: 1. Primaquine